Non-proliferative Glomerulonephritis include all of the following, except
1. Focal Segmental glomerulonephritis (FSGS)
2. Mesangiocapillary glomerulonephritis
3. Membranous glomerulonephritis
4. Amyloidosis

Correct answer: 2. Mesangiocapillary glomerulonephritis

Explanation: Among the 4 options, Mesangiocapillary Glomerulonephritis is a proliferative glomerulonephritisMembranoproliferative Glomerulonephritis(MPGN):Immune-mediated glomerulonephritis characterized by thickening of the GBM with mesangioproliferative changes. Because the proliferation is predominantly in the mesangium but also may involve the capillary loops, a frequently used synonym is mesangiocapillary glomerulonephritis also known as lobar glomerulonephritis.Ref: Harrison's 18/e p2334-35